Which of the following is NOT associated with massive transfusion:
1. Hypothermia
2. Hypercalcemia
3. Thrombocytopenia
4. DIC

Correct answer: 2. Hypercalcemia

Explanation: Ans. B i.e. Hypercalcemeia Complications of blood transfusion Hyperkalemia, Citrate toxicity, Hypothermia, ARDS